Stemmer's sign is
1. Swelling in the foot seen with lymphoedema
2. Loss of normal perimalleolar shape in lymphoedema
3. Subcutaneous fibrosis which makes skin over dorsum of foot not pinchable
4. Pitting Oedema in filariasis

Correct answer: 3. Subcutaneous fibrosis which makes skin over dorsum of foot not pinchable

Explanation: Skin over the dorsum of foot cannot be pinched because of subcutaneous fibrosis in filariasis = STEMMER'S SIGN.